Best modality to diagnose unruptured tubal pregnancy is :
1. Vaginal ultrasound
2. Serum hCG estimation
3. Serum Progesterone estimation
4. Culdocentesis

Correct answer: 1. Vaginal ultrasound

Explanation: Vaginal ultrasound